The acceptable noise level that can be tolerated without any damage to hearing is:
1. 85 dB
2. 90 dB
3. 95 dB
4. 100 dB

Correct answer: 1. 85 dB

Explanation: Ans. A: 85 dBSound pressure is measured in decibels (dB).The average person can hear sounds down to about 0 dB, the level of rustling leaves.If a sound reaches 85 dB or stronger, it can cause permanent damage hearing.With extended exposure, noises that reach a decibel level of 85 can cause permanent damage to the hair cells in the inner ear, leading to hearing loss.